A 40 yrs old male chronic smoker comes with acute epigastric discomfort for past one hour .ECG showing ST segment elevation in inferior leads . What is the immediate intervention
1. Asprin
2. Thrombolytic therapy
3. IV PANTAPROZOL
4. Beta blockers

Correct answer: 1. Asprin

Explanation: Ref Harrison 19 th ed pg 1596 Initial treatment should begin with the platelet cyclooxygenase inhibitor aspirin. The typical initial dose is 325 mg/d, with lower doses (75-100 mg/d) recommended thereafter. Contraindications are active bleeding or aspirin intoler- ance. "Aspirin resistance" has been noted in 2-8% of patients but frequently has been related to noncompliance.